Reinfection tuberculosis is almost exclusively a disease of the -
1. Lungs
2. Bones
3. Joints
4. Brain

Correct answer: 1. Lungs